The North Kerelia project evaluate risk factors of
1. Diabetes
2. Cancers
3. Coronary heart disease
4. Obesity

Correct answer: 3. Coronary heart disease